Damage to superior branch of middle cerebral artery results in -
1. Personality change
2. Motor aphasia
3. Urinary incontinence
4. Sensory aphasia

Correct answer: 2. Motor aphasia